Which of the following can be used as test for lipid peroxidation?
1. Ames test
2. MTT assay
3. Guthrie test
4. Fox assay

Correct answer: 4. Fox assay

Explanation: Lipid peroxidation is tested by measuring the products of lipid peroxidation. FOX assay is one such test. FOX is Ferrous Oxidation in Xylenol.